What is true about sinus venosus-
1. Forms rough wall of right atrium
2. Forms smooth wall of right atrium
3. Forms right coronary sinus
4. Forms left leaflet of coronary sinus

Correct answer: 2. Forms smooth wall of right atrium